Pegylated Filgrastim is used for treatment of:
1. Anaemia
2. Neutropenia
3. Thrombocytopenia
4. Pancytopenia

Correct answer: 2. Neutropenia

Explanation: Drugs Affecting Cells Of Blood i) RBC Growth factor for RBC is erythropoietin If we give erythropoietin from outside in form of darbopoetin, it will increase the formation of RBC Darbopoetin Uses Anemia due to chronic renal failure Bone marrow suppression ii) WBC Growth factor: G-CSF & GM-CSF G-CSF Drug GM-CSF Drug FILGRASTIM PEGFILGRASTIM SARGRAMOSTIM MOLGRAMOSTIM These drugs are used for anti-cancer drug induced neutropenia iii) Platelet Major growth factor in platelet is IL-11 OPRELVEKIN (injectable) Recombinant IL-11 All these drugs are given by subcutaneous routes.